d–Tubocurarine acts by :
1. Inhibiting nicotinic receptors at myoneural junction
2. Inhibiting nicotinic receptors at autonomic ganglion
3. Producing depolarizing block
4. By inhibiting reuptake of acetylcholine

Correct answer: 1. Inhibiting nicotinic receptors at myoneural junction